Paroxysmal AV block is associated with:
1. First degree block
2. Type I second degree block
3. Type II second degree block
4. Third degree block

Correct answer: 3. Type II second degree block

Explanation: Ans. C. Type II second degree block* Paroxysmal AV block are series of non-conducted P waves associated with Second-degree AV block (particularly type II).* It implies significant conduction system disease and is an indication for permanent pacing.ECG shows multiple non-conducted P waves after a period of sinus bradycardia with a normal PR interval.